A 30 year old female who had undergone a sugery under spinal anaesthesia has developed post spinal headache. How long does it take for the headache to subside?
1. Lasts up to 10 minutes
2. Last up to 4 days
3. Last up to 2 weeks
4. Last up to 2 months

Correct answer: 3. Last up to 2 weeks

Explanation: Post spinal headache usually begins after 48 hours and can last for 2 weeks. It can be minimised if CSF loss is minimised. Headache is usually dull in nature and is fron to temporal in location. Ref: Merritt's Neurology edited By Lewis P Rowland, page 382.